Which of the following drugs is contraindicated in acute intermittent porphyria?
1. Thiopentone
2. Midazolam
3. Propofol
4. Etomidate

Correct answer: 1. Thiopentone

Explanation: Barbiturates are contra-indicated in acute intermittent porphyria.